In which of the following a 'Coeur en Sabot' shape of the heart is seen –
1. Tricuspid atresia
2. Ventricular septal defect
3. Transposition of great arteries
4. Tetralogy of Fallot

Correct answer: 4. Tetralogy of Fallot

Explanation: `Coeur en Sabot' refers to the radialogical appearance of heart in a patient with Tetralogy of Fallot. The cardiac silhouette resembles that of a 'boot' or Wooden shoe in 'Coeur en Sabot' . X-rav findings in TOF 

Boot shaped heart (Coeur en sabot)                        o Oligemic pulmonary fields
Normal sized heart (no cardiomegaly)